Which of the following is not a feature of vernal conjunctivitis
1. Maxwell lyon sign
2. Tranta spots
3. Follicles
4. Perilimbal papillary hypertrophy

Correct answer: 3. Follicles

Explanation: Maxwell lyon sign is presence of Eosinophils in the ropy discharge Refer: Khurana 6th edition page number 79